Selective protein loss is seen in -
1. Celiac disease
2. Giardiasis
3. Lymphangiectasis
4. Tropical sprue

Correct answer: 3. Lymphangiectasis